Colliquative liquefaction is seen within_________after death:
1. Immediately
2. 24 hours
3. 72 hours
4. 1 week

Correct answer: 4. 1 week

Explanation: D i.e. 1 week